Thyroid carcinoma with pulsatile vascular skeletal metastasis is
1. Medullary
2. Anaplastic
3. Follicular
4. Papillary

Correct answer: 3. Follicular

Explanation: Pulsatile secondaries are seen in: Follicular carcinoma Thyroid Renal cell carcinoma ref - Srb's manual of surgery 5e p481